Which of the following is false about ossifying fibroma?
1. Affects people in 3-4 decade of life
2. Maxilla affected more than the mandible
3. Circumscribed radio opacity
4. Continuous growth

Correct answer: 2. Maxilla affected more than the mandible